Non - tropical sprue is characterized by?
1. Elongation of intestinal villi
2. Currant jelly stools
3. Hypertriglyceridemia
4. Poor absorption of lipids

Correct answer: 4. Poor absorption of lipids

Explanation: Non-tropical sprue Microscopic examination of the jejunum reveals: Blunting or absence of the villi Substitution of cuboidal for columnar surface cells Infiltration of the lamina propria with lymphocytes and plasma cells Increased mitotic activity in the crypts of the unusually deep intestinal glands. The damage would lead to malabsorption of carbohydrates and lipids